All are true about direct ophthalmoscopy except
1. Erect image
2. Virtual image
3. 15 X magnification
4. Need condensing lens

Correct answer: 4. Need condensing lens

Explanation: Direct opthalmoscopy is the most commonly practised method for routine fundus examination. The modern direct opthalmoscope works on the basic principle of glass plate opthalmoscope introduced by von Helmholtz. Characteristics of image formed. In direct opthalmoscopy, the image is erect, virtual and about 15 times magnified in emmetropes (more in myopes and less in hypermetropes) Reference : A.K.Khurana; 6th edition; Page no: 587